Adam's apple in Male is due to.
1. Thyroid cartilage
2. Cricoid cartilage
3. Hyoid cartilage
4. Epiglottis cartilage

Correct answer: 1. Thyroid cartilage

Explanation: Thyroid Cartilage Largest cartilage, hyaline in nature. It is V shaped and consists of right and left lamina which meet anteriorly in midline and form an angle (Adams angle) Adams angle: -- Male: 90 degree -- Female: 120 degree The outer surface of each lamina is marked by an oblique line which extends from superior thyroid tubercle to inferior thyroid tubercle. Oblique line gives attachment to: -- Thyrohyoid -- Sternothyroid -- Inferior constrictor muscle. Vocal cords are attached to middle of thyroid cartilage.